Hilton's method of treatment of an axillary abscess is advised because it -
1. Protects vital structure
2. Ensures adequate drainage
3. Hinders the spread of infection
4. Allows local instillation of antibiotics

Correct answer: 1. Protects vital structure

Explanation: Ans. is 'a' i.e., Protects vital structure Hilton's method of abscess drainage is chosen when there are plenty of important structures like nerves and vessels around the abscess cavity, like axilla. In this method incision is made only through the skin and subcutaneous tissue. The deep fascia is not incised. A pair of artery forceps or sinus forceps is insinuated through the deep fascia into the abscess cavity. The blades are gradually opened to drain the pus.